Vitamin E deficiency is associated with
1. Ataxia
2. Cholestasis
3. Hyperkeratosis
4. Pseudotumour cerebri

Correct answer: 1. Ataxia

Explanation: Vitamin E deficiency causes axonal degeneration of the large myelinated axons results in posterior column & spino cerebellar symptoms